The agent of choice to reverse status epilepticus inducted by local anaesthetic overdose is::
1. Oxygen
2. Diazepam
3. Epinephrine
4. Phenobarbital

Correct answer: 2. Diazepam